Both oral and Nasal intubation are C/I – a) Laryngeal edemab) CSF–Rhinorrhoeac) Comatose patientd) Acute Tracheo–Laryngo-bronchitis
1. b
2. c
3. ac
4. ad

Correct answer: 4. ad

Explanation: Both nasal and oral intubation are contraindicated in Laryngeal edema, epiglotitis, and Laryngotracheobronchitis.